Flexion deformity is detected by -
1. Tredenlenberg test
2. Thomas test
3. FABER
4. Stinchfield tests

Correct answer: 2. Thomas test

Explanation: Even a gross limitation of extension, causing a fixed flexion deformity, can be completely masked simply by arching the back into excessive lordosis. Fortunately it can be just as easily unmasked by performing THOMAS TEST : both hips are f lexed simultaneously to their limit, thus completely obliterating the lumbar lordosis; holding the 'sound' hip firmly in position (and thus keeping the pelvis still), the other limb is lowered gently; with any flexion deformity the knee will not rest on the couch. Meanwhile the full range of flexion will also have been noted; the normal range is about 130 degrees. REF:Apley's system of orthopaedics- 9th edn- pg no 495.